Sinusitis which is least involved is?
1. Maxillary
2. Ethmoid
3. Frontal
4. Sphenoid

Correct answer: 4. Sphenoid

Explanation: Sinusitis is least involved in the sphenoid sinus. Isolated involvement of this sinus is rare. It's often part of pansinusitis or is associated with infection of posterior ethmoid sinuses. (Reference: Textbook of PL Dhingra and Shruti Dhingra; 7th edition, pg no. 216)